Stocker's line is seen in -
1. Pinguencula
2. pterygium
3. Cngenital Ocular Melanosis
4. Conjunctival epithelial melanosis

Correct answer: 2. pterygium

Explanation: Image : stockers line in pterygium Reference : AK Khurana 7th edition page :89